All are useful in acute appendicitis except:
1. Antibiotics
2. Analgesics
3. IV fluids
4. Purgation

Correct answer: 4. Purgation

Explanation: Ans: d (Purgation)Ref: Bailey & Love, 24,hed, p. 1211 &23rded, p. 1085